In a population of 10,000, literate people are 4000. In same population 2000 are 0-6 years old. What is the literacy rate of that population -
1. 30%
2. 40%
3. 50%
4. 60%

Correct answer: 3. 50%

Explanation: Ans. is 'c' i.e., 50% * The term literacy rate is used for the population relating to seven years age & above.* In the given question, population 7 years 8c above is 8000. Out of which 4000 are literate thus literacy rate is 50%.